Not true about rt. kidney is -
1. Rt. kidney is preferred over the left for transplantation
2. It is lower than the left kidney
3. Rt. renal vein is shorter than the left
4. Rt. kidney is related to the duodenum

Correct answer: 1. Rt. kidney is preferred over the left for transplantation

Explanation: It is left kidney, not Rt. that is preferred for transplantation because it has a longer renal vein which simplifies the transplantation operation.